Key enzyme in glycogenolysis -
1. Branching enzyme
2. Glycogen synthase
3. Debranching enzyme
4. Glycogen phosphorylase

Correct answer: 4. Glycogen phosphorylase

Explanation: Ans. is 'd' i.e.. Glycogen phosphorylase Cycle / PathwayRate limiting enzymeGlycolysisGlycogen synthesis (glycogenesis)GlycogenolysisTCA cycleFatty acid synthesisCholesterol synthesisKetone body synthesisBile acid synthesisCatecholamine synthesisUrea synthesisPhosphofructokinase 1Glycogen synthaseGlycogen phosphorylaseIsocitrate dehydrogenaseAcetyl CoA carboxylaseHMG CoA reductaseHMG CoA synthetase7-a-hydroxylaseTyrosine hydroxylaseCarbamoyl transferase